True about inspiration, the intrapleural pressure becomes
1. More –ve
2. More +ve
3. Same
4. No relation

Correct answer: 1. More –ve